Quadrilateral cartilage is attached to all except:
1. Ethmoid
2. Vomer
3. Sphenoid
4. Maxilla

Correct answer: 3. Sphenoid

Explanation: Quadrilateral cartilage or septal cartilage forms the nasal septum. As seen in above figure the arterior side of this cartilage forms the dorsum of External nose. It comes in contact with perpendicular plate of ethmoid,vomerand arterior nasal spine. Ref.Dhingra 6/e,p 147.